Not a sign of Fuch's heterochomic iridocyclitis
1. Posterior Synechiae
2. Young adults
3. Develop posterior subcapsular cataract
4. Amsler Sign

Correct answer: 1. Posterior Synechiae

Explanation: Posterior synechiae are not seen in Fuch's heterochromic iridocyclitis Fuchs Heterochromic Iridocyclitis * Heterochromic uveitis * Chronic, unilateral iridocyclitis , in young adults. * Amsler sign ( also known as amsler verrey sign): Hyphaema during intraoperative manipulation due to blood vessels at angle are seen * 50 % develop PSC ( Posterior subcapsular cataract)